Fungal spores may be produced-
1. Singly
2. In chains
3. In sporangium
4. All of the above

Correct answer: 4. All of the above

Explanation: Fungal spores have different morphology. They may be unicellular, multicellular or in chains. - Fungi can reproduce sexually by forming sexual spores and asexually by forming conidia or asexual spores. - Sexual spores are of three types: zygospores, ascospores, and basidiospores. Ascospores are formed in a sac called ascus, Basidiospores are formed outside on the tip of a pedestal called a basidium. Zygospores are single, large spores with thick wall. - Asexual spores are produced by mitosis. Fungi reproduce asexually by forming conidia. Asexual spores can be vegetative or arterial spores as follows: A) Vegetative spores: These include (a) arthrospores, (b) chlamydospores, and (c) blastospores. B)Arterial spores: These include (a) sporangiospores, (b) conidiospores, (c) microconidia, and (d) macroconidia. Sporangiospores are spores formed within a sac called sporangium, which develops at the ends of the hyphae called sporangiophores (e.g., Mucor and Rhizopus).